A calcium channel sensitizer approved for use in treatment of Congestive Heart failure is-
1. Levosimendan
2. Nesitritide
3. Vasopressin
4. Nitroprusside

Correct answer: 1. Levosimendan

Explanation: levosimendan is a calcium channel channel sensitiser used in CHF Levosimendan is a calcium sensitiser that can be administered intravenously (IV) to patients with acute decompensated congestive heart failure (CHF). At therapeutic dosages levosimendan enhances myocardial contractility without increasing oxygen requirements, and causes coronary and systemic vasodilation. Ref Davidson edition23rd pg 463